Von Magnus phenomenon -
1. Is a normal replicative cycle
2. Virus yield has low hemagglutination
3. Virus has high infectivity
4. Virus yields has high hemagglutination titre but low infectivity

Correct answer: 4. Virus yields has high hemagglutination titre but low infectivity

Explanation: Abnormal replicative cycles of viruses

Von Magnus phenomenon

when cells are infected with a high dose of influenza virus, there is defective assembly during replication and the produced virus has high hemagglutinin titre but low infectivity.

Abortive infection

Due to defective maturation or assembly, either no release of virions occur or the progeny of a virus is noninfectious.

Defective viruses

Some viruses are genetically defective and require the help of simultaneously infected helper virus for replication. eg. HDV, Rous sarcoma virus.